The amniotic membrane is characterised by all except:
1. Provides maximum tensile strength
2. Highly vascular
3. It develops after 2 - 7 days of gestation
4. Foetal ectoderm

Correct answer: 2. Highly vascular

Explanation: Ans. is b i.e. Highly vascular Amnion and chorion are fetal membranes. The Amnion : tmpoant points - It is the innermost fetal membrane and is in contact with the amniotic fluid. At term, amnion is tough and tenacious. Almost all of the tensile strength of the fetal membranes is due to amnion.deg It is avasculardeg and plicabledeg. Amnion has 5 separate sublayers. The important missing elements of human amnion are : Smooth muscle cells Nerves Lymphatics Blood vessels The amnion and chorion though slightly adherent are never intimately connected and can be separated easily, even at term. Remember -- Earlier it was believed that amnion is derived from trophoblast but now it is generally accepted that epithelial cells of amnion are derived from fetal ectoderm of the embryonic disc. - The human amnion is first identifiable about 7" -- 8" day of embryo development. Function : Amnion is metabolically active and is involved in solute and water transport to maintain amniotic fluid hemostasis and produce a variety of bioactive compounds including vasoactive peptides. growth factors and cytokines.